Prader willi syndrome and Angel man syndrome are examples of
1. RNA interferance
2. Genomic Imprinting
3. Gene Knockout
4. Impaired DNA repair

Correct answer: 2. Genomic Imprinting

Explanation: Genomic imprinting is a proces of epigenetic modification of nucleotides in which only one allele of specific gene is functioning, while the other allele is silenced based on the parent of origin.